In twin pregnancy delivery by cesarean section is advocated in all the above conditions except :
1. Second twin in transverse lie position
2. First twin in transverse lie position
3. Monoamniotic twins
4. Weight less than 1500 gm.

Correct answer: 1. Second twin in transverse lie position

Explanation: Second twin in transverse lie position